Drug to be avoided in HOCM (Hypertrophic obstructive cardiomyopathy) is:
1. Amiodarone
2. Verapamil
3. Digoxin
4. Beta–blockers

Correct answer: 3. Digoxin